Antigen antibody precipitation is maximally seen in which of the following ?
1. Excess of antibody
2. Excess of antigen
3. Equivalence of antibody and antigen
4. Antigen Hapten interaction

Correct answer: 3. Equivalence of antibody and antigen

Explanation: According to lattice hypothesis, precipitation results when a large lattice is formed consisting of alternating antigen and antibody molecules. This is possible only at the zone of equivalence. At the zone of equivalence, antigen and antibody are in optimum proportion. Lattice formation and visible reactions are enhanced. Reference: Anathanarayan & paniker's 9th edition, pg no:105